Acute severe bleeding as a result of Warfarin therapy can be controlled by all EXCEPT:
1. Withhold the anticoagulant
2. Vitamin K1
3. Heparin
4. Fresh frozen plasma

Correct answer: 3. Heparin

Explanation: Ans. C i.e. Heparin Reversal of warfarin effect The effects of warfarin can be reversed with vitamin K, or, when rapid reversal is needed (such as in case of severe bleeding), with prothrombin complex concentrate--which contains only the factors inhibited by warfarin--or fresh frozen plasma (depending upon the clinical indication) in addition to intravenous vitamin K. For patients with-an international normalized ratio (INR) between 4.5 and 10.0, a small dose (about 1000 mcg = one milligram) of oral vitamin K is sufficient. When warfarin is being given and INR is in therapeutic range, simple discontinuation of the drug for five days is usually enough to reverse the effect and cause INR to drop below 1.5.